Pre-anaesthetic medication is given to ?
1. Reduce anxiety and fear
2. Reduction of secretion of saliva
3. To prevent undesirable reflexes
4. All of the above

Correct answer: 4. All of the above

Explanation: Ans. is 'd' i.e., All of the above Preanaesthetic medication Premedication (Preanaesthetic medication) refers to the use of drugs before anaesthesia to make it more pleasant and safe. The aims are : Relief of anxiety and apprehension preoperatively and to facilitate smooth induction. Amnesia for preoperative and postoperative events. Supplement analgesic action of anaesthetics and potentiate them. Decrease secretions and vagal stimulation (undesirable reflex). Antiemetic effect extending into postoperative period. Decrease acidity and volume of gastric juice so that it is less damaging if aspirated. Drugs used in premedication 1. Sedative - antianxiety - Diazepam / Lorazepam / Midazolam. Lorazepam is used most commonly. Midazolam is used for day care surgery. 2. Opioids - Morphine / pethidine 3. Anticholinergics -. Atropine / Hyoscine / Glycopyrrolate. 4. Neuroleptics Haloperidol / chlorpromazine / triflupromazine. 5. H2 blocker or proton pump inhibitor Ranitidine / Famotidine, omeprazole / Pantoprazole. 6. Antiemitics - Metoclopramide / Domperidone / Ondansetron.